Abatacept, a new drug inhibiting co-stimulation is used for-
1. SLE
2. Scleroderma
3. Rheumatoid arthritis
4. Sjogren syndrome

Correct answer: 3. Rheumatoid arthritis

Explanation: Ref Davidsons 23e p1007